All of the following are adverse effects of nicotinic acid except-
1. Vasodilation
2. Pancreatitis
3. Liver dysfunction
4. Hyperpigmentation

Correct answer: 2. Pancreatitis

Explanation: Ans. is 'b' i.e., Pancreatitis o Adverse effects of nicotinic acid --> 1) Marked flushing, itching (pruritis) and heat due to cutaneous vasodilatation, 2) Dyspepsia, vomiting and diarrhoea, 3) Liver dysfunction, 4) Hyperpigmentation and dryness of skin, 5) Hyperglycemia and hyperuricemia.